Cholangiocarcinoma is caused by -
1. Giardia lamblia
2. Clonorchis infestation
3. Paragonimus infestation
4. Ascaris infestation

Correct answer: 2. Clonorchis infestation

Explanation: Ans. is 'b' i.e., Clonorchis infestation Parasites associated with malignancyo Clonorchis sinensis-Liver, bile duct (cholangiocarcinoma) and Pancreas (adenocarcinoma)o Opisthorchis viverrini-Bile duct (chalangio carcinoma)o Schistosoma haematobium-Urinary bladder (squamous cell Ca)o Fasciola hepatica-Cholangiocarcinoma